Who is known for his work on scurvy?
1. Fracastorius
2. James Lind
3. John snow
4. Edward Jenner

Correct answer: 2. James Lind